First heart sound is soft in all except
1. Short PR interval
2. Ventricular septal defect
3. Mitral regurgitation
4. Calcified Valve

Correct answer: 1. Short PR interval

Explanation: Ref Harrison 19 th ed pg 1447 S1 becomes softer in the later stages of MS when the leaflets are rigid and calcified, after exposure to b-adrenergic receptor blockers, with long PR intervals, and with left ventricular contractile dysfunc- tion. The intensity of heart sounds, however, can be reduced by any process that increases the distance between the stethoscope and the responsible cardiac event, including mechanical ventilation, obstruc- tive lung disease, obesity, pneumothorax, and a pericardial effusion.